Beta hemihydrate particles absorb
1. more water
2. less water
3. no water
4. none of the above

Correct answer: 1. more water